Which of the following Beta blocker is contraindicated in renal failure?
1. Sotalol
2. Pindolol
3. Propranolol
4. Oxyprenolol

Correct answer: 1. Sotalol

Explanation: Sotalol is a non specific beta adrenergic receptor blocker. It shortens the sinus cycle period, lengthens the atrial and ventricular refractory period and QT interval. It has negative ionotropic effect and can reduce left ventricular contractile force and increase filling pressure. It is excreted by the kidneys with an elimination half life of 10-15 hours, so it should be avoided in renal failure. Ref: SCAI Interventional Cardiology Board Review Book By Moon J. Ker, Page 41; The Modern Role of Beta-Blockers in Cardiovascular Medicine By John Malcolm Cruickshank, Page 32; Medical Toxicology By Richard C. Da, Page 685.